Hemophilia B is due to:
1. Factor VII deficiency
2. Factor IX deficiency
3. Platelet deficiency
4. Vit C deficiency

Correct answer: 2. Factor IX deficiency